Anti–inflammatory action of corticosteroids is due to blocking of:
1. 15 lipoxygenase
2. Prostaglandin synthetase
3. Thromboxane synthetase
4. Break down of phospholipids

Correct answer: 4. Break down of phospholipids